Commonest histology of carcinoma of endometrium is :
1. Squamous cell
2. Clear cell
3. Adenocarcinoma
4. Anaplastic carcinoma

Correct answer: 3. Adenocarcinoma

Explanation: Adenocarcinoma